Maximum content of triglycerides are found in
1. HDL
2. LDL
3. Chylomicrons
4. VLDL

Correct answer: 3. Chylomicrons

Explanation: Ans. is 'c' i.e. Chylomicrons Maximum content of TG's is seen in - Chylomicrons*Maximum content of exogenous TG's is seen in -Chylomicrons*Maximum content of endogenous TG's is seen in -VLDL*Maximum cholesterol is seen in - LDL*